Which of the following is true regarding deep inguinal ring:
1. It lies one cm superior to the mid inguinal point
2. It lies medial to interior epigastric artery
3. Opening in the transversus abdominis muscle
4. It is traversed by ilioinguinal nerve

Correct answer: 1. It lies one cm superior to the mid inguinal point

Explanation: Deep Inguinal ring is a defect in fascia transversalis. It is an oval opening situated half inch (one cm) above the mid inguinal point, immediately lateral to the inferior epigastric artery.